After an accident a male patient had come for his routine evaluation. His RBCs showed Cabot's ring. What is the likely condition responsible?
1. Acquired hemolytic anemia
2. Hemochromatosis
3. Thalassemia
4. After splenectomy

Correct answer: 4. After splenectomy

Explanation: Cabot'srings are red cell inclusions consist of mitotic spindle remnants appearing as fine, threadlike filaments of bluish purple color in the shape of a single ring or a double ring (figure-eight shape). They stain red or reddish purple with Wright's stain and have no internal structure. These are arginine rich and acidophilic. Cabot's rings are present in anemia (severe, pernicious), lead poisoning, myelofibrosis, and myeloid metaplasia, but are typical of post splenectomy. Ref: Medical Laboratory Technology By Sood, 2005, Page 201 ; Wintrobe's Clinical Hematology, 11th Ed p. 22 Table 1.4 ; Laboratory Medicine Hematology 6th ed. CV Mosby Co., 1982, p. 488